Coomb's positive hemolytic anemia associated with -
1. TTP
2. PAN
3. SLE
4. HUS

Correct answer: 3. SLE

Explanation: Warm antibody autoimmune hemolytic anemia may occur as a complication of an underlying disease of immume system such as SLE.In this condition ,human red cells are coated with Ig G antibodies which are reactive at room temperature.In SLE, direct & indirect coomb's test will be positive suggesting presence of warm antibodies on the red cell, best detected at 37 degree celsius .

Harsh mohan textbook of pathology sixth edition pg no 312